Thyroid storm after operation is due to -
1. Inadequate control of hyperthyroidism
2. Massive bleeding
3. Recurrent laryngeal nerve injury
4. Postoperative infection

Correct answer: 1. Inadequate control of hyperthyroidism